Symptoms or signs seen in Acute peripheral arterial occlusion
1. Pain
2. Pallor
3. Pulselessness
4. All the above

Correct answer: 4. All the above

Explanation: Acute peripheral arterial occlusion may result from: Rupture and thrombosis of an atherosclerotic plaque Embolus from the heart or thoracic or abdominal aorta Aortic dissection Acute compartment syndrome Symptoms and signs are sudden onset in an extremity of the 5 P's: Pain (severe) Polar sensation (coldness) Paresthesias (or anesthesia) Pallor Pulselessness Ref-